A patient presents with diplopia with limitation of adduction in the left eye and abducting saccade in the right eye.Convergence is preserved. Most likely etiology is:
1. Partial 3rd nerve palsy
2. Internuclear ophthalmoplegia
3. Duane's reactionary syndrome
4. Absence of medial rectus muscle

Correct answer: 2. Internuclear ophthalmoplegia

Explanation: Ans. Internuclear ophthalmoplegia